Alexithymia is :
1. A feeling of intense rapture
2. Pathological sadness
3. Affective flattening
4. Inability to recognise and describe feelings

Correct answer: 4. Inability to recognise and describe feelings

Explanation: D. i.e. Inability to recognize & describe feelings Alexithymia is inability or disability in describing or being aware of one's emotions or moodQ. It is seen in elaboration of fantasies associated with depression, substance abuse, and post traumatic stress disorder.